A patient presents with acute anterior wall infarction and hypotension. Which will be the immediate treatment modality for this patient?
1. Intra aortic balloon counter pulsation
2. Anticoagulation
3. Thrombolytic therapy
4. Angiography and Primary angioplasty

Correct answer: 4. Angiography and Primary angioplasty

Explanation: Within the first 12 hours of MI, immediate coronary angiography and primary percutaneous intervention is the treatment of choice for patients presenting with ST elevated MI. Ref: Harrison's Principles of Internal Medicine, 16th Edition, Page 1453 & 1460; 17th Edition, Page 1537; Davidson's Principles and Practice of Medicine, 20th Edition, Chapter 18, Page 594.